Which of the following disease occurs due to deficiency of glucocerebrosidase:
1. Tay Sachs disease
2. Niemann Pick disease
3. Gaucher disease
4. Fabry disease

Correct answer: 3. Gaucher disease